The attitude of the lower limb in post polio residual paralysis is-
1. Flexion, abduction, external rotation
2. Flexion, adduction, internal rotation
3. Extension, abduction, internal rotation
4. None

Correct answer: 1. Flexion, abduction, external rotation

Explanation: Polio has iliotibial band contracture which shows FAbEr, not FAdIr